Pulmonary function abnormalities in interstitial lung diseases include all of the following, EXCEPT:
1. Reduced vital capacity
2. Reduced FEV1/FVC ratio
3. Reduced diffusion capacity
4. Reduced total lung capacity

Correct answer: 2. Reduced FEV1/FVC ratio

Explanation: Most forms of ILD produce a restrictive defect with reduced total lung capacity (TLC), functional residual capacity, and residual volume. Forced expiratory volume in one second (FEV1) and forced vital capacity (FVC) are reduced, but these changes are related to the decreased TLC. The FEV1/FVC ratio is usually normal or increased. A reduction in the diffusing capacity of the lung for carbon monoxide (DLCO) is a common but nonspecific finding in most ILDs. Ref: King, T.E. (2012). Chapter 261. Interstitial Lung Diseases. In D.L. Longo, A.S. Fauci, D.L. Kasper, S.L. Hauser, J.L. Jameson, J. Loscalzo (Eds), Harrison's Principles of Internal Medicine, 18e.